Which one of the following statements is true to Stockes-Adam attack -
1. It is usually preceded by an aura
2. Focal neurological signs are commonly observed during the attack
3. It is usually caused by high degree of atrioventricular block
4. It is caused by recurrent paroxysmal tachyarrhydunias

Correct answer: 3. It is usually caused by high degree of atrioventricular block